Which is the most common type of acute myeloid leukemia?
1. M2
2. M3
3. M4
4. M5

Correct answer: 1. M2

Explanation: M2- AML with maturation is characterized by 20% or more myeloblasts in the blood or bone marrow and 10% or more neutrophils at different stages of maturation. M2- AML comprises approximately 30% to 45% of cases of AML. Patients frequently present with anemia,thrombocytopenia, and neutropenia. Morphologic features include the following: Myeloblasts with and without azurophilic granules. Auer rods. Promyelocytes, myelocytes, and neutrophils 10% or more of the bone marrow cells. Abnormal nuclear segmentation in neutrophils. Increased eosinophil precursors Hypercellular marrow Blasts and maturing neutrophils reactive with antibodies to MPO and lysozyme Note : Extra edge Children with Down's syndrome M/C tumour : ALL M/C subtype of AML : M7 subtype Drugs leading to AML Alkylating agents : 4-6 years Topoisomerase II inhibitors : 1-3 years